A 30 yr. old female, case of anemia, not responding to iron and folic acid B12 supplement was evaluated further. Her CBC profile was as follows Hb-4.7g/dl. Total WBC count -4,000/mm3 Platelet count- 70,000/mm3 Her PS finding is given below. Her Bone marrow aspirate revealed a dry tap following which a bone marrow biopsy confirmed the diagnosis. Which of the following stains would have been useful in confirming the bone marrow biopsy?
1. MPO
2. Reticulin
3. VVG
4. Pearls blue

Correct answer: 2. Reticulin

Explanation: The peripheral smear of the patient reveals Tear drop RBCs(dacrocytes) with a nucleated RBC precursor in the centre of the picture. A blast and an immature WBC precursor along with nucleated RBC precursor is called leukoerythroblastosis. Both these findings are seen in Myelofibrosis. Hence, RETICULIN stain would help in the diagnosis MPO stain could be used in AML given the CBC and PS it is unlikely. Pearls blue can be used to detect excess iron in sideroblastic anemia. VVG is stain used for elastin